In the presence of a drug that blocks all effects of norepinephrine and epinephrine on the heart, the autonomic nervous system can:
1. Raise the heart rate above its intrinsic rate
2. Lower the heart rate below its intrinsic rate
3. Raise and lower the heart rate above and below its intrinsic rate
4. Neither raise nor lower the heart rate from its intrinsic rate

Correct answer: 2. Lower the heart rate below its intrinsic rate

Explanation: Ans. B. Lower the heart rate below its intrinsic rateActivation of parasympathetic nerves to the heart would lower the heart rate below its intrinsic rate. However, with all effects of norepinephrine and epinephrine blocked, the sympathetic nervous system cannot raise the heart rate above its intrinsic rate. The withdrawal of parasympathetic nerve tone could only raise the heart rate to the intrinsic rate.